Electronic device is contraindicated in
1. Pacemakers
2. AIDS
3. TB
4. Asthmatics

Correct answer: 1. Pacemakers